All the following metabolic may cause chronic or recurrent abdominal pain, except -
1. Acute intermittent prophyria
2. Addison's disease
3. Hypercaleemia
4. Hyperkalemia

Correct answer: 4. Hyperkalemia